A 22-year old woman develops an acute contact dermatitis to a household-cleaning agent. Which of the following treatments is most appropriate during the bullous, oozing stage?
1. Wet dressings
2. Systemic corticosteroids
3. Topical Anesthetics
4. Systemic antibiotics

Correct answer: 1. Wet dressings

Explanation: For highly oedematous, vesicular and exudative eruptions treatment is: Astringent soaked in such as a 1: 10 000 solution of potassium permanganate. Burow's solution (aluminium acetate 1%) can also be used. applications of emollients are soothing